Shentons line is seen in X ray of -
1. Antero-posterior pelvis with both hips
2. Antero-posterior shoulder
3. Lateral cervical spine
4. Lateral lumbosacral spine

Correct answer: 1. Antero-posterior pelvis with both hips

Explanation: Ans. is 'a' i.e, Antero-posterior pelvis with both hips Plain X - ray for hip pathology:* The minimum required is an anteroposterior x-ray of the pelvis showing both hips and a lateral view of each hip separately.* The two sides can be compared: any difference in the size, shape or position of the femoral heads is important.* With a normal hip Shenton's line, which continues from the inferior border of the femoral neck to the inferior border of the pubic ramus, looks continuous; any interruption in the line suggests an abnormal position of the femoral head.* Narrowing of the joint 'space' is a sign of articular cartilage loss, a feature of both inflammatory and non- inflammatory arthritis.